A young person presents with a history of severe menorrhagia. She has palpable spleen. Her bleeding time is prolonged with a normal clotting time. Platelet count is normal .The most likely diagnosis is -
1. Haemophilia
2. Henoch-Scholeim purpura
3. Thrombosthenic purpura
4. Allergic purpura

Correct answer: 3. Thrombosthenic purpura